The use of long cone is adjunct in parallel technique:
1. To minimize the superimposition of anatomical structures
2. To prevent the shortening of image
3. To prevent the distortion of image
4. To prevent the elongation of image

Correct answer: 3. To prevent the distortion of image